Which of the following is the most common complication of appendectomy?
1. Wound infection
2. Ileus
3. Adhesive intestinal obstruction
4. Fecal fistula

Correct answer: 1. Wound infection

Explanation: - M/C complication of appendectomy - Wound infection - M/C late complication of appendectomy - Adhesive intestinal obstruction COMPLICATION OF APPENDECTOMY Wound infection: MC Postoperative complication (in 5-10% of all patients) Intra-abdominal abscess Ileus Respiratory complications (Rare) Venous thrombosis and embolism Portal pyaemia (Pylephlebitis) Adhesive intestinal obstruction:- MC late complication of appendectomy At operation, a single band adhesion is often found to be responsible Fecal fistula :- Leakage from the appendicular stump occurs rarely, but may follow if the encircling stitch has been put in too deeply or if the cecal wall was involved by edema or inflammation Occasionally, a fistula may result following appendicectomy in crohn's disease Conservative management with low-residue enteral nutrition will usually result in closure